Prominent U waves on the ECG is a feature of -
1. Hyponatremia
2. Hypernatremia
3. Hypokalemia
4. Hyperkalemia

Correct answer: 3. Hypokalemia

Explanation: Electrocardiographic changes in hypokalemia include broad flat T waves, ST depression, u wave and QT prolongation. (reference: harrisons principles of internal medicine,19E page-307)